What will occur with increase in alveolar ventilation rate ?
1. Decreased partial pressure of O2 in alveoli
2. Decreased partial pressure of CO2 in alveoli
3. Decreased CO2 diffusion from blood to alveoli
4. Decreased O2 diffusion from alveoli to blood

Correct answer: 2. Decreased partial pressure of CO2 in alveoli

Explanation: Ans. is 'b' i.e., Decreased partial pressure of CO2 in alveoliAlveolar ventilation is the amount of inspired air entering in gas-exchange areas (alveoli) per minute during quite breathing. It excludes the air which remains in dead space.